Varenicline is used in
1. Pulmonary hemosiderosis
2. Sleep apnea
3. Anti-trypsin deficiency
4. Nicotine dependency

Correct answer: 4. Nicotine dependency

Explanation: Varenicline is a prescription medication used to treat smoking addiction. This medication is the first approved nicotinic receptor partial agonist. Specifically, varenicline is a partial agonist of the alpha4/beta2 subtype of the nicotinic acetylcholine receptor Ref Davidson 23rd edition pg 578